PMA index is used to record the status of:
1. Gingival disease
2. Carious teeth
3. Root caries
4. Periodontal disease

Correct answer: 1. Gingival disease